The definition of hypertension in children is
1. Average systolic blood pressure (SBP) and/or diastolic BP that is >=95th percentile for age, sex, and height on >=2 occasions
2. Average systolic blood pressure (SBP) and/or diastolic BP that is >=95th percentile for age, sex, and height on >=3 occasions
3. Average systolic blood pressure (SBP) and/or diastolic BP that is >=90th percentile for age, sex, and height on >=2 occasions
4. Average systolic blood pressure (SBP) and/or diastolic BP that is >=90th percentile for age, sex, and height on >=3 occasions

Correct answer: 2. Average systolic blood pressure (SBP) and/or diastolic BP that is >=95th percentile for age, sex, and height on >=3 occasions

Explanation: The definition of hypertension in adults is BP >=140/90 mm Hg, regardless of body size, sex, or age. This is a functional definition that relates level of BP elevation with the likelihood of subsequent cardiovascular events. Because hypertension-associated cardiovascular events, such as myocardial infarction or stroke, usually do not occur in childhood, the definition of hypertension in children is statistical rather than functional. The National High Blood Pressure Education Program Working Group on High Blood Pressure in Children and Adolescents published the Fourth Report on the Diagnosis, Evaluation, and Treatment of High Blood Pressure in Children and Adolescents (Fourth Report) in 2004. This report established normal values based on the normative distribution of BP in healthy children and included tables with systolic and diastolic values for the 50th, 90th, 95th, and 99th percentile by age, sex, and height percentile. The Fourth Report defined hypertension as average systolic blood pressure (SBP) and/or diastolic BP that is >=95th percentile for age, sex, and height on >=3 occasions. Prehypertension was defined as average SBP or diastolic BP that is >=90th percentile but <95th percentile. In adolescents beginning at age 12 yr, prehypertension is defined as BP between 120/80 mm Hg and the 95th percentile. A child with BP levels >=95th percentile in a medical setting but normal BP outside of the office has white coat hypertension. The Fourth Report further recommended that if BP is >=95th percentile, then hypertension should be staged. Children with BP between the 95th and 99th percentile plus 5 mm Hg are categorized as stage 1 hypertension, and children with BP above the 99th percentile plus 5 mm Hg have stage 2 hypertension. Stage 1 hypertension, if asymptomatic and without target organ damage, allows time for evaluation before starting treatment, whereas stage 2 hypertension calls for more prompt evaluation and pharmacologic therapy. Reference: Nelson; 20th edition; Page no: 2294